Pyocyanin is formed by:
1. Yersinia
2. Pseudomonas
3. Burkholderia
4. Pasteurella

Correct answer: 2. Pseudomonas

Explanation: Ans. is. 'b' i. e., Pseudomonas